The presence of multifetal gestation and subsequent disappearance of one or more fetuses called
1. Superfecundation
2. Superfoetation
3. Pseudocyesis
4. Vanishing twin syndrome

Correct answer: 4. Vanishing twin syndrome

Explanation: Vanishing twin syndrome The presence of multifetal gestation and subsequent disappearance of one or more fetuses. This syndrome has been diagnosed more frequently since the use of sonography in early pregnancy. Ref: FORENSIC MEDICINE AND TOXICOLOGY Dr PC IGNATIUS THIRD EDITION PAGE 333